Asbestosis is associated with all except:
1. Central emphysema
2. Interstitial fibrosis
3. Pleural effusion
4. Carcinoma larynx

Correct answer: 1. Central emphysema

Explanation: (A) Central emphysema# Asbestosis and Asbestos-Related Diseases> Asbestos is a family of crystalline hydrated silicates with a fibrous geometry.> On the basis of epidemiologic studies, occupational exposure to asbestos is linked to> Parenchymal interstitial fibrosis (asbestosis);> Localized fibrous plaques or, rarely, diffuse fibrosis in the pleura;> Pleural effusions; Bronchogenic carcinoma;> Malignant pleural and peritoneal mesotheliomas; and Laryngeal carcinoma.> An increased incidence of asbestos-related cancers in family members of asbestos workers has alerted the general public to the potential hazards of asbestos in the environment.